Tetracycline with highest anti leprotic property
1. Minocycline
2. Doxycycline
3. Demeclocycline
4. Oxyteacycline

Correct answer: 1. Minocycline

Explanation: Minocyline is a tetracycline group given in cases where clozamine is not tolerated minocycline is given in such cases 100mg per day in such cases. Ref: KDT 6/E P753